Which microorganism does not cause hemorrhagic conjunctivitis
1. Adenovirus
2. Coxsackie -24
3. Enterovirus -70
4. Papilloma virus

Correct answer: 4. Papilloma virus

Explanation: Other causes of haemorrhagic Conjunctivitis are Echo virus -34 Bacterial causes are Hemophilus and pneumococcus REF:Refer Khurana 6th edition page number 76